After curettage, restoration of junctional epithelium occurs after:
1. 3 days
2. 5 days
3. 7 days
4. 21 days

Correct answer: 2. 5 days

Explanation: Resorption Re-epithelization of sulcus : After 2-7 days.
Restoration of junctional epithelium : After 5 days.
Immature collagen fibers after 21 days.